Child wakes up at night sweating and terrified does not remember the episode-diagnosis-
1. Narcolepsy
2. Nightmares
3. Night terrors
4. Somnambulism

Correct answer: 3. Night terrors

Explanation: Ans. is 'c' i.e., Night terrors o Sleep terror or night terrors (pavor nocturnus) : - The patient suddenly gets up screaming, with autonomic arousal (tachycardia, sweating). Sleep terrors are rarely remembered in the morning (in contrast to night mares). No treatment is required only reassurance is required. However, in severe cases benzodiazepine can be used.